NOT a cause of varicose veins:
1. Superficial venous thrombosis
2. Arteriovenous fistula
3. Deep venous thrombosis
4. Pregnancy

Correct answer: 1. Superficial venous thrombosis

Explanation: Ans. A i.e. Superficial venous thrombosis Varicose veins Gold standard method of diagnosing VV: Duplex imaging Sclerosant used in VV: Ethanolamine oleate Test to demonstrate sapheno-femoral incompetence: Brodie-Trendelenburg test MC complication of stripping: Ecchymosis Cocket & Dodds's operation: Subfascial ligation